Pearl Index is -
1. Accident pregnancy per per 1 women year of contraception exposure
2. Accident pregnancy per per 10 women year of contraception exposure
3. Accident pregnancy per per 100 women year of contraception exposure
4. Accident pregnancy per per 1000 women year of contraception exposure

Correct answer: 3. Accident pregnancy per per 100 women year of contraception exposure

Explanation: park's textbook of preventive and social medicine 23rd edition. *pearl index is defined as the no of tailers per 100 women -years of exposure